Prevalence of a disease depends upon the following?
1. Incidence
2. Duration
3. Both of the above
4. None of the above

Correct answer: 3. Both of the above

Explanation: Ans. is 'c' i.e., Both of the above Prevalence = Incidence 'x mean duration